The most important cholorectic is:
1. Bile salt
2. CCK
3. Secretin
4. Gastrin

Correct answer: 1. Bile salt

Explanation: Ans. A. Bile salta. Cholagogue is the one which causes gall bladder contraction, thereby increasing flow (eg CCK - PZ)b. Choleretic increases secretion of bile (eg- Bile salt)